Ataxia telangiectasia is chracterised by all of the following except :
1. Chronic sinopulmonary disease
2. Decreased level of a-fetoprotein
3. Chromosomal breakage
4. IgA deficiency

Correct answer: 2. Decreased level of a-fetoprotein

Explanation: Answer is B (Decreased levels of a fetoproteins) Persistance of very high levels of oncofetal proteins, including alpha fetoproteins and carcinoembryonic antigens is of diagnostic value - Harrison All other features mentioned as options are characteristics of Ataxia-telengiectasia